Test used for Posterior dislocation of glenohumeral joint
1. Jerk test
2. Fulcrum test
3. Cranks test
4. McMurray's test

Correct answer: 1. Jerk test

Explanation: Test for posterior glenohumeral instability is jerk testMaheswari 5th edition PG 95